In human, fertilization usually occurs in the
1. Fimbriated end of uterine tube
2. Ampulla of the uterine tube
3. Isthmus of the uterine tube
4. Uterine cavity

Correct answer: 2. Ampulla of the uterine tube

Explanation: B. i.e. (Ampulla of the uterine tube) (448 - Ganong) (423 - Ganong 23rd)* In humans Fertilization of the ovum by the sperm usually occurs in the ampulla of uterine tube** lined by ciliated columnar epithelium ** (AI - 09), occurs within few hours* Among 200- 300 million of sperms entering female genital tract only few thousand sperms reach the spot near the ovum and only one sperm fertilizes the ovum*** Implantation of the fertilized ovum occurs between 5-7 days after fertilization**.* Spermatogeneis occurs at temperature lower than core body temperature (AI- 09)